Chronic active hepatitis seen in -
1. Methyldopa
2. Oestrogen
3. Erythromycin
4. Tetracycline

Correct answer: 1. Methyldopa

Explanation: Important drugs causing chronic hepatitis  → Isoniazid, Halothane, methydopa, oxyphenisatin.